Prevalance of cataract at one point of time can be determined by -
1. Longitudinal study
2. Cross-sectional study
3. Surveillance
4. Cohort study

Correct answer: 2. Cross-sectional study

Explanation: Ans. is 'b' i.e., Cross-sectional study o This queston is straight forward, Prevelance is obtained by cross-sectional study and therefore cross-sectional study is also known as prevalence study.